False about irritant contact dermatitis
1. It is due to direct toxic effects of chemicals over skin
2. Senisitization phase occurs before clinical phase
3. Soaps & detergents are the most common cause
4. Irritant contact dermatitis is more common than allergic contact dermatitis.

Correct answer: 2. Senisitization phase occurs before clinical phase

Explanation: As it is not an immonolgical reaction, sensitization phase doesn't occur in Irritant contact dermatitis.